The layer of the retina in touch with vitreous humor
1. Retinal pigment epithelium
2. Internal limiting membrane
3. Outer nuclear layer
4. Ganglion cell layer

Correct answer: 2. Internal limiting membrane

Explanation: Internal limiting layer is in touch with vitreous LAYERS OF RETINA 1. Inner limiting membrane 2. Nerve fiber layer 3. Ganglion cell layer 4. Inner plexiform layer 5. Inner nuclear layer 6. Outer plexiform layer 7. Outer nuclear layer 8. External limiting membrane 9. Photoreceptor layer 10. Retinal pigment epithelium.